Tumor lysis syndrome is -
1. Hyperkalemia
2. Hypercalcemia
3. Hypokalemia
4. Increase sodium

Correct answer: 1. Hyperkalemia

Explanation: Ans. is 'a' i.e., Hyperkalemia Tumor Ivsis syndromeo It is a clinical entity characterized by destruction of large number of rapidly proliferating neoplastic cells following chemotherapy.o Tumor lysis syndrome is associated with Hypocalcemia and not Hypercalcemia Tumor Lysis Syndrome is also associated with hyperuricemia, hyperphosphatemia, hyperkalemia and acidosis.Rapid lysis of tumor cells after chemotherapy (Tumor lysis syndrome)o Release of uric acid from rapid turn-over nucleic acids.# Hyperuricemiao Release of intracellular Phosphate# Hyperphosphatemiao Release of intracellular potassium# Hyperkalemiao Uric acid may precipitate in tubules, medulla and collecting ducto Increased phosphate drives calcium into bone# Hypocalcemiao Predisposes to Arrhythmias# Renal failureo Calcium phophate may deposit in renal tubules# Renal failureo Release of intracellular Magnesium j Hypermagnesemiao Acidosis is also a feature and results in part from deranged oxidative metabolism# Lactic acidosis